According to American Board of Orthodontics recommendation for colour coding of sequential tracing, end treatment ceph tracing is done in:
1. Black
2. Blue
3. Red
4. Green

Correct answer: 3. Red